Drug used for smoking cessation -
1. Naltrexone
2. Bupropion
3. Buprenorphine
4. Methadone

Correct answer: 2. Bupropion

Explanation: Ans. is 'b' i.e., BupropionMedications used in nicotine withdraw!o The most effective medications for smoking cessation includs nicotine replacement therapy. Bupropion and varenicilineMost effective medications for smoking cessationNicotine replacementBupropionVareniclineo Transdermal nicotine patch o Nicotine gum o Nicotine lozenge o Nicotine inhaler o Nicotine nasal spray Nicotine replacement therapyo The goal of nicotine replacement therapy is to provide nicotine to a smoker without using tobacco, thereby relieving nicotine withdraw l symptoms as the smoker breaks the behaviour of cigarette smoking.o The use of nicotine replacement therapy in place of cigarette avoids exposure to carbon monoxide that reduces oxygen delivery to oxidant gases that are atherogenic and to tars that are carcinogenic.There are different types of nicotine replacement products e.g.Nicotine patch - transdermallyNasal spray - nasal mucosaNicotine chewing gum, lozenge or inhaler - oral mucosao Nicotine replacement products differ in their pharmacokinetics and delivery of nicotine to circulation# But no product delivers nicotine as rapidely as cigarette smoking, a factor that contributes specifically to dependence producing properties of cigarettes.Bupropiono It is believed to act by enhancing central nervous system noradrenergic and dopaminergic release,o It is given as sustained release formulation.o The sustained release bupropion takes five to seven days to reach steady state blood levels. Therefore it is started one week before a smoker s target quit date,o Bupropion monotherapy doubles the likelihood of smoking cessation compared to placebo.Varenicilineo Vareniciline is a partial agonist at the alpha-4 beta-2 subunit of nicotinic acetylcholine receptor. The receptor that appears to produce the reinforcing effects of nicotine and leads to nicotine dependence.It aids smoking cessation in two ways# Firstly, as a partial agonist it binds to and produces the partial stimulation of the alpha 4 beta 2 nicotinic receptor thereby reducing the symptoms of nicotine withdrawl.# Secondly since vareniciline binds to the alpha 4 beta 2 receptor subunit with high affinity it blocks the nicotine in tobacco smoking from binding to the receptor.; there ????